Cytokines are secreted in sepsis and Systemic Inflammatory Response syndrome (SIRS) by -
1. Neutrophils
2. Adrenal
3. Platelets
4. Collecting duct

Correct answer: 1. Neutrophils

Explanation: Cytokine release in Sepsis 

The mechanism by which endotoxin causes activation of inflammatory cells and release of cytokines has already been explained earlier.
It is by TL -4 and CD-14 mediated.
Signals from TLR-4 can directly activate vascular endotheliun and leukocytes to release cytokine mediators.
The major cells that secrete cytokines in sepsis area


Monocyte/Macrophages       
Neutrophils                    
Endothelial cells


Cytokine mediators involved are:-


TNF - (The most important cytokine in sepsis)               
IL-1                    
IL-6       
IL-8               
NO.